Chandu, a 45 yrs male shows calcification on the Rt side of his abdomen in an AP view. In lateral view the calcification is seen to overlie the spine. Most likely diagnosis is -
1. Gallstones
2. Calcified mesenteric nodes
3. Renal stones
4. Calcified rib

Correct answer: 3. Renal stones

Explanation: Ans. is 'c' i.e., Renal stone